Paradoxical response of GH release to TRH is seen in:
1. Prolactinoma
2. Acromegaly
3. Malnutrition
4. Pituitary adenoma

Correct answer: 2. Acromegaly

Explanation: Answer is B (Acromegaly): In patients with Acromegaly TRH can cause a paradoxical increase in GH secretion which is not observed in normal individuals. 'About 60% of patients with GH secreting tumors (Acromegaly) may exhibit paradoxical GH response to TRH administration'- Harrison 16th/2090